An anaesthetic agent with a boiling temperature more than 75°C is:
1. Ether
2. Halothane
3. Cyclopropane
4. Methoxyflurane

Correct answer: 4. Methoxyflurane

Explanation: Boiling point of methoxyflurane is 104.7°C whereas other fluorinated inhalational anesthetics have boiling point between 50°C to 60°c (except desflurane: 22.9°C)